False about Bacterial capsule is:
1. Prevents Phagocytosis
2. Stains by gram stain
3. Protects bacteria from lytic enzymes
4. Lost by repeated subcultures

Correct answer: 2. Stains by gram stain

Explanation: Slime has little affinity for basic dyes and is not visible in Gram stained smears. Special capsule staining
techniques are available, usually employing copper salts as mordants.